Cafe au lait spots seen in?
1. NF
2. Gardner syndrome
3. Cockayne syndrome
4. Down syndrome

Correct answer: 1. NF

Explanation: clinical criteria to diagnose neurofibromatosis include 6 or more cafeaelait macules, 2 or more neurofibromas, Freckling in axillary and inguinal regions, Optic gliomas , 2 or more Lisch nodules, A distinctive osseous lesion, A first degree relative with NF1. Page no 322 Reference IADVL's concise textbook of dermatology